'Nothing is an offence which is done by a child under seven years of age' is included under which of the following section:
1. Section 82 IPC
2. Section 83 IPC
3. Section 84 IPC
4. Section 85 IPC

Correct answer: 1. Section 82 IPC

Explanation: Age Medicolegal IPC Explanation <7 year 7-12 years <12 years Criminal Responsibility Criminal Responsibility Consent Sec. 82 IPC Sec. 83 IPC Sec. 89 IPC No criminal intent guilty of offence parents give consent for noninvasive procedure